In a case of neonatal meningitis, the etiologic bacteria is found to have properties of b hemolysis, bacitracin resistance, CAMP positive. Which of the following is the most likely causative agent?
1. S. pyogenes
2. S. agalactiae
3. S. pneumonia
4. E. faecalis

Correct answer: 2. S. agalactiae

Explanation: S. agalactiae is the most common cause of neonatal meningitis in the west.It does not hydrolyze bile esculin agar, however, hydrolyze sodium hippurate and are bacitracin resistant. Identified by CAMP (Christie, Atkins, and Munch - Peterson) reaction.